Egg shell calcification is seen in all except –
1. Sarcoidosis
2. Silicosis
3. Post irradiation lymphoma
4. Bronchogenic CA

Correct answer: 4. Bronchogenic CA